Increase in suicidal behavior is due to -
1. Increase in serotonin
2. Decrease in serotonin
3. Increase in nor-adrenaline
4. Reactive depression

Correct answer: 2. Decrease in serotonin

Explanation: Patient with suicide has decreased level of serotonin metabolite (5-HIAA) in urine & plasma.